If the cemental overgrowth improves the functional quality of cementum, known as:
1. Cemental hypertrophy
2. Cemental hypoplasia
3. Cemental hyperplasia
4. None

Correct answer: 1. Cemental hypertrophy